Which of the following structure is made up of elastic cartilage?
1. Auditory tube
2. Nasal septum
3. Costal cartilage
4. Articular cartilage

Correct answer: 1. Auditory tube

Explanation: Cartilage is a form of connective tissue in which cells and fibers are embedded in a gel like matrix. Elastic cartilage has large number of elastic fibers embedded in the matrix. It is very flexible and is found in the auditory tube, auricle of ear, external auditory meatus, epiglottis and the cuneiform cartilage in the larynx.